Myoepithelium:-
1. These are epithelial cells covering the muscle tissue
2. These are muscle cells
3. These are epithelial cells with contractile units
4. None of above

Correct answer: 3. These are epithelial cells with contractile units

Explanation: Myoepithelial cells are epithelial cells with contractile units. These may be positive for alpha smooth muscle actin and can contract and expel the secretions of exocrine glands. Epithelial cells of various sites, particularly sweat glands, mammary glands, salivary glands, may acquire the characteristics of smooth muscle cells are known as myoepithelial cells. Myoid cells of testis have contractile function in the seminiferous tubule.